Advantage of flexible bronchoscopy is:
1. Can be done in awake patient
2. Can examine the sub segmental bronchi
3. Can be used in jaw and neck abnormalities
4. All of the above

Correct answer: 4. All of the above

Explanation: Ans: D (All of the above) Ref: Diseases of the Ear Nose and Throat by PL Dhingra 5th edn .2010P age 435Explanation:Flexible bronchoscopy is done using a flexible fibre optic bronchoscopeIt provides better illumination and magnification than the rigid bronchoscopeCan be done under topical anaesthesia in an awake patient and is especially useful for bedside examination of critically ill patientsMore useful adults and limited utility in children because of the problem in ventilationCan be used for taking biopsy, suctioning of secretions or mucus plugs and removing small foreign bodies